Blood supply of little's area are:
1. Greater palatine artery
2. Septal br. of superior labial artery
3. Anterior ethmoidal artery
4. All

Correct answer: 4. All

Explanation: All Correct